Xiphoid process fuses to the body of sternum by?
1. 20 years
2. 30 years
3. 40 years
4. 50 years

Correct answer: 3. 40 years

Explanation: ANSWER: (C) 40 yearsREF: Parikh 6th edition page 2.10"Xiphoid process fuses to the body of sternum by 40 years""Manubrium fuses to the body of sternum by 60 years"FUSION OF EPIPHYSIS:RegionGirls (years)Roys (years)Elbow13-1415-17Wrist16-1718-19Shoulder17-1819-20Crest of ilium18-1920-21Ischial tuberosity21-2223-24Inner end of clavicle21-2223-24